d-Tubocurarine acts by:
1. Inhibiting nicotinic receptors at myoneural junction
2. Inhibiting nicotinic receptors at autonomic ganglion
3. Producing depolarizing block
4. By inhibiting reuptake of acetylcholine

Correct answer: 1. Inhibiting nicotinic receptors at myoneural junction

Explanation: Ans. (A) Inhibiting nicotinic receptors at myoneural junction(Ref: Katzung 10/e p429; KDT 8th/e p374)D-tubocurarine is a skeletal muscle relaxant that acts by competitive inhibition of NM receptors at neuron-muscular junction.